Animal hair are -
1. Fine
2. Thin
3. With large scales
4. Thick cortex

Correct answer: 3. With large scales

Explanation: Ref:The essential of forensic medicine and toxicology Dr.K.S NARAYAN REDDY 32nd edition pg no 91 characters of animal hair : 1.coarse and thick 2.Cutticular sscales are very large and hav step like or wavy projections 3. cortex is thin ,rarely more than twice as broad as medulla 4.medulla is continues and wider 5.pigment is mostly present in medulla 6.precipitin test is specific for diffrent animals 7. medullary index is above 0.5